All of the following are true about chemodectoma except:
1. Firm, rubbery, pulsatile mass, mobile from side to side
2. Schamblin classification is used
3. Biopsy is diagnostic
4. Lyre sign is splaying of internal & external carotid arteries on angiography

Correct answer: 3. Biopsy is diagnostic

Explanation: Carotid body tumor AKA Chemodectoma Commonly found in people living at high altitudes - because of chronic hypoxia -carotid body hyperplasia. Firm, rubbery, pulsatile mass, mobile from side to side - arises from medial side of carotid body or carotid bifurcation Diagnosis: Angiography shows Lyre sign - splaying of internal & external carotid arteries It is a vascular tumor - so, FNAC & biopsy are contraindicated Schamblin classification is used for carotid body tumor